Headache with bitemporal hemianopia with 6/6 vision seen with:
1. Optic neuritis
2. Trauma
3. Chiasmal lesions
4. B/L cavernous lesions

Correct answer: 3. Chiasmal lesions

Explanation: Chiasmal lesions